Which of these is an FDA approved indication for use of modafinil as an adjunct ?
1. Major depression and associated lethargy
2. Narcolepsy
3. Obstructive sleep apnea
4. Shift work disorder

Correct answer: 3. Obstructive sleep apnea